Stain is not taken by capsule in gram negative organisms because the capsule consist of
1. Polysaccharides
2. Lipopolysaccharides
3. Lipids
4. All

Correct answer: 1. Polysaccharides

Explanation: Ans. is 'a' i.e., Polysaccharides . Capsules are protective walls that surround the cell membranes of gram-positive and gram-negative bacteria. . They are usually composed of simple sugar (polysaccharide) except in Bacillus anthracis it is made up of polypeptide (protein). . Capsule is not visible in gram stained smear as it has little affinity for basic dyes. Note? . For single option go ahead for option 'a', i.e. polysaccharide because, except for Bacillus anthracis, the capsule of almost all the important bacteria is composed of sugar (polysaccharide). . Don't get confuse with word gram-negative in question because the capsule, whether it is of gram positive or gram negative bacteria, is not visible on gram staining.